Angel dust denotes
1. flunitrazepam
2. .LSD
3. toluene
4. phencyclidine

Correct answer: 4. phencyclidine

Explanation: Hallucinogens * ALSO CALLED AS Psychotomimetic/ Psychedelic * FIRST Man made HALLICINOGEN ==================== Albert Hoffman * MECHANISM OF ACTION Lysergic acid diethylamide=======serotonin * Introduced by Albert Hoffmann and he himself experienced its effects * Phencyclidine =======NMDA antagonist * Also known as angel dust * Related to ketamine=== dissociative anesthetic * Has anti-suicidal property Reference:kaplon and Sadock, synopsis of psychiatry, 11 th edition , pg no.649